Uveitis is associated most commonly with:
1. Rheumatoid arthritis
2. Systemic JRA
3. Pauciarticular JRA
4. Polyarticular JRA

Correct answer: 3. Pauciarticular JRA

Explanation: C i.e. Pauciarticular JRA Anterior Uveitis is more common in pauciarticular seronegative (i.e. RA factor negative) IRA Q than in polyarticular JRA or systemic JRA. Seropositivity for ANA factor in pauciarticular JRA predisposes to uveitis. Most of the times the term "Seronegative" or "Seropositive" is used in relation to RA factor. Juvenile Idiopathic Arthritis (JIA) Juvenile idiopathic arthritis (JIA) is an chronic inflammatory arthritis of 6 weeks (Kanski)/at least 3 months (Yanoff) duration in a child younger than 16 years of age, when all other causes of arthritis (eg infection, metabolic, neoplasm etc) have been excluded. Females are more commonly affected (F:M 3:2). JIA is not the same as juvenile rheumatoid arthritis (]RA); the former is negative for rheumatoid factor whereas JRA is positive. JRA is rheumatoid arthritis that occurs before the age of 16 years. HA is the most common disease associated with childhood anterior uveitisQ which is usually asymptomatic, bilateral, chronic and nongranulomatous anterior uveitisQ.